Patisiran was approved by FDA recently for
1. Filariasis
2. Peripheral Neuropathy
3. Neuropathy of diabetes
4. Neuropathy of amyloidosis

Correct answer: 4. Neuropathy of amyloidosis

Explanation: It is a double stranded small interfering ribose neuclic acid ( si RNA) formulated in the form of a lipid complex. used in the treatment of polyneuropathy